Bleeding from the nipple is seen in which of the following conditions? 1. Duct ectasia 2. Ductal papilloma 3. Fibroadenoma 4. Chronic breast abscess 5. Carcinoma of Breast
1. 1,2,3 True & 4,5 False
2. 1,2,3 False & 4,5 True
3. 1,2,5 False & 3,4 True
4. 1,2,5 True & 3,4 False

Correct answer: 4. 1,2,5 True & 3,4 False

Explanation: Bleeding from nipple is seen in Duct ectasia, Ductal papilloma and in Carcinoma of Breast.